Which is the most common nephropathy associated with malignancy?
1. Membranous
2. MCD
3. IgA
4. FSGS

Correct answer: 1. Membranous

Explanation: Membranous nephropathy can be associated with tumors of the colon, lung and hematological malignancies like chronic lymphocytic leukemia